A 14-year-old female has been suffering from quinsy in the right side of her oropharynx. In surgical removal of the pathologic tissue, or for incision and drainage of the area, which of the following arteries will be at greatest risk?
1. Lingual
2. A branch of facial
3. Superior laryngeal artery
4. Ascending pharyngeal artery

Correct answer: 2. A branch of facial

Explanation: A branch of the facial artery would be of primary concern because its branches supply the oropharynx and it is the primary source of arterial supply to the palatine tonsil. The location of the lingual artery is inferior to the oropharynx and it would be less likely to be injured in the event of a surgical procedure. The superior laryngeal artery is also located lower and would not be subject to injury by surgery in the area of the oropharynx. The ascending pharyngeal artery arises in the carotid triangle from the external carotid artery and gives rise to pharyngeal, palatine, inferior tympanic, and meningeal branches. This vessel is located inferiorly to the site of surgery. Terminal branches of the descending palatine artery could be encountered at the upper pole of the palatine tonsil, but the main stem of the vessel would not be endangered in the surgical treatment here.